The average length of a full term child will be about
1. 30 cm
2. 35 cms
3. 40 cms
4. 50 cms

Correct answer: 4. 50 cms

Explanation: D i.e. 50 cm